Pain relieved with which position of Hip in Psoas abscers
1. Flexion
2. Extension
3. Adduction
4. Abduction

Correct answer: 1. Flexion